Surinder singh developed acute CHF and was puton digitalis therpy. ECG of this patient revealed the presence of ventricular extrasystoles. Which of the following drugs can be administered safely to this patient in order to counteract this arrhythmia?
1. Lignocaine
2. Quinidine
3. Atropine
4. Amiodarone

Correct answer: 1. Lignocaine

Explanation: (Ref: KDT 6/e p498) Lignocaine is the drug of choice for ventricular arrhythmias due to digitalis toxicity.